Sleep waves in the hippocampal area are -
1. Delta
2. Theta
3. Beta
4. Alpha

Correct answer: 2. Theta

Explanation: Alpha rhythm → Parietal and occipital lobe.
Beta rhythm→ Frontal lobe
Theta rhythm  → Hippocampus (in non-human mammals), cortex (in human).